Treatment of choice for Zollinger Ellison syndrome (ZES)is-
1. PPI
2. Somatostatin analogues
3. Streptozocin
4. Sucralfate

Correct answer: 1. PPI

Explanation: Davidson's principles and practice of medicine 22nd edition. *In majority of the patients continued therapy with omeprazole or other PPI can be successful in healing ulcers and diarrhoea.